Dysphagia lusoria is due to?
1. Esophageal diverticulum
2. Aneurysm of aorta
3. Esophageal web
4. Compression by aberrant blood vessel

Correct answer: 4. Compression by aberrant blood vessel

Explanation: Dysphagia lusoria is a disorder of swallowing caused due to vascular anomalies and includes: A right aortic arch A double aortic arch A vascular constricting ring formed by a PDA or a ligamentum arteriosum and pulmonary artery or aortic arch An abnormal right subclavian artery An abnormal innominate artery Diagnosis is made by lipoidal swallow or arteriography. Ref: Bailey and Love 24/e, Page 995